The tissue of origin of the Kaposi's sarcoma is:
1. Lymphoid
2. Vascular
3. Neural
4. Muscular

Correct answer: 2. Vascular

Explanation: Ans. is 'b' i.e., Vascular(Ref: Harrison, 18th/e, p. 1565; 17th/e, p. 1186; Robbins, 7th p. 54, 550; Ananthanarayan, 9th/e, p. 576 and 8th/e, p. 575)* Kaposi sarcoma is an intermediate grade, multicentric vascular tumour.* It is caused by HHV-8. It is a cancer that develops from the cells that line lymph or blood vessels. This type of Kaposi sarcoma develops in people who are infected with HIV. Most visual signs of this sarcoma are lesions on the skin (flat, painless spots that are red or purple on white skin and bluish, brownish or black on dark skin). It affects 8 times more men than women.